Which is the following is false regarding reversible cell injury?
1. Detachment of ribosomes from the endoplasmic reticulum (ER)
2. Breakdown of plasma membrane
3. Hydropic change
4. Accumulation of myelin figures in the cytoplasm

Correct answer: 2. Breakdown of plasma membrane

Explanation: On microscopic examination of reversibly injured cells, small clear vacuoles may be seen within the cytoplasm; these represent distended and pinched-off segments of the ER. This pattern of nonlethal injury is sometimes called hydropic change or vacuolar degeneration. The ultrastructural changes of reversible cell injury, visible by electron microscopy include the following: Plasma membrane alterations, such as blebbing, blunting, and loss of microvilli Mitochondrial changes, including swelling and the appearance of small amorphous densities Accumulation of "myelin figures" in the cytosol composed of phospholipids derived from damaged cellular membranes Dilation of the ER, with detachment of polysomes Nuclear alterations, with disaggregation of granular and fibrillar elements Phenomena that consistently characterize irreversible cell injury: inability to reverse mitochondrial dysfunction (lack of oxidative phosphorylation and ATP generation) even after resolution of the original injury profound disturbances in membrane function (breakdown of plasma membrane).